Cephalosporin with anti pseudomonal activity ?
1. Cefazoline
2. Cefoperazone
3. Ceftriaxone
4. Cefuroxime

Correct answer: 2. Cefoperazone

Explanation: Ans. is 'b' i.e., Cefoperazone Drugs acting against Pseudomonas. Penicillins - Piperacillin, Carbenicillin, Ticarcillin, Mezlocillin. Cephalosporins - Ceftazidime, Cefoperazone, Cefepime. Carbapenems - Imipenem, meropenem Monobactams - Aztreonam. Aminoglycosides - Tobramycin, Gentamycin, Amikacin. Fluroquinolones - Ciprofloxacin, Levofloxacin, Norfloxacin.. Other - Polymixin B, Colistin.